Colour code of oxygen cylinder is
1. Black cylinder with white shoulders
2. Black cylinder with grey shoulders
3. White cylinder with black shoulders
4. Grey cylinder with white shoulders

Correct answer: 1. Black cylinder with white shoulders

Explanation: Color coding of cylinders is introduced to prevent accidental misplacement of cylinders.